Antihelminthic also acting as immunomodulator is :
1. Albendazole
2. Levamisole
3. Mebendazole
4. Piperazine

Correct answer: 2. Levamisole